All of the following belongs to gene family of desmosomal protein except :
1. Cadherin
2. Clathrin
3. Plakin
4. Armadillo

Correct answer: 2. Clathrin

Explanation: Clathrin doesn't belong to gene family of desmosomal protein Desmosomal protein Gene family are Cadherin Plakin Armadillo Eg : Desmoglein in pemphigus Desmocollin Desmoplakin Plakoglobin Plakophilin